Imipenem. True statement about it is:
1. Narrow spectrum of action
2. Easily broken by beta lactamase
3. Used with cilastatin
4. Used with sulbactam

Correct answer: 3. Used with cilastatin

Explanation: Used with cilastatin